All of the following are side effects of valproic acid, except:
1. Alopecia
2. Hepatitis
3. Nephrotoxicity
4. Skin rashes

Correct answer: 3. Nephrotoxicity